Minimum time of diagnosis for manic illness:
1. 1 week
2. 1 month
3. 1 year
4. 2 years

Correct answer: 1. 1 week

Explanation: Ans. 1 week